What difficulty is assessed by Mallampati classification during intubation -
1. Inadequate neck movement
2. Inadequate mouth opening
3. Large tongue
4. Receding mandible

Correct answer: 3. Large tongue

Explanation: The Mallampati classification has become the standard for assessing the relationship of the tongue size relative to oral cavity.